Sertoli cells play a key role in which of the following process?
1. Spermiogenesis
2. Testosterone secretion
3. Secretion of seminal fluid
4. Production of germ cells.

Correct answer: 1. Spermiogenesis

Explanation: Spermiogenesis is the process of transformation of the spermatids, which are still epitheloid, to spermatozoa. This process occur in the deep folds of the cytoplasm of the sertoli cells. Mature spermatozoa are released from the sertoli cells and become free in the lumen of the tubules. Other functions of sertoli cells include secretion of androgen binding protein (ABP), inhibin and mullerian inhibitory substance (MIS). ABP functions to maintain a high, stable supply of androgen in the tubular fluid. Inhibin inhibits FSH secretion. MIS cause regression of the mullerian ducts in males during fetal life. Ref: Review of Medical Physiology By William F Ganong, 22nd Edition, Page 425; Textbook of Medical Physiology By Guyton and Hall, 10th Edition, Pages 916-918